Peripheral most unit for planning of family planning unde RCH programm
1. DHC
2. Subcentre
3. Taluk
4. Anganwadi

Correct answer: 2. Subcentre